Dissociative anaesthesia is produced by:
1. Ketamine
2. Thiopentone
3. Suxamethoni
4. Diazepam

Correct answer: 1. Ketamine

Explanation: Ketamine